Delayed union of fracture of a bone follo-wing a surgical treatment may be due to
1. Infection
2. Inadequate circulation
3. Inadequate mobilization
4. All of the above

Correct answer: 4. All of the above

Explanation: D i.e. All